All the following drugs are effective in the treatment of Pityriasis Versicolor except:
1. Selenium Sulphide
2. Ketoconazole
3. Griseofulvin
4. Clotrimazole

Correct answer: 3. Griseofulvin

Explanation: Griseofulvin has no role in treatment of tinea versicolor. Griseofulvin is used systemically for dermotophytes (microsporum infection). It is ineffective topically. Treatment of Tinea/ Pityriasis versicolar Systemic (oral) Local (Shampoo/cream) New treatment Old Treatment Ketocoazole Itraconazole Micoconazole Econazole Ketoconazole Clotrimazole Whitfield's ointment (3% salicylic acid and 6% Benzoic acid) Selenium disulphide Sodium Thiosulphate